Calabar swellings seen in:
1. Ascaris
2. Hymenolepis
3. Loa Loa
4. Strongyloides

Correct answer: 3. Loa Loa

Explanation: Calabar swellings are localized subcutaneous edemas, a type of inflammatory reaction brought about by a host response to the worm or its metabolic products. Argyll-Robertson described the adult worms of LOA LOA that he extracted from the eye of a woman who had resided at Old Calabar in West Africa.